What is the most important good prognostic factor for neuroblastoma?
1. Telomerase expression
2. MRP expression
3. Loss of 11q
4. CD44 expression

Correct answer: 4. CD44 expression

Explanation: Ans. is 'd' i.e., CD44 expression Prognostic Factors in NeuroblastomasVariableFavorableUnfavorableStageStage 1, 2A, 2B, 4SStage 3, 4Age< 1 year> 1 yearHistology * Evidence of schwannian stroma and gangliocytic differentiationPresentAbsent* Mitotic rateLowHigh* Mitosis-karhorrhexis index< 200/500 cells> 200/500 ceils* Intratumoral calcificationPresentAbsentDNA ploidyHyperdiploid or near-triploidDiploid, near-diploid or near-tetraploidN-mycNot amplifiedAmplifiedChromosome 17q GainAbsentPresentChromosome 1p LossAbsentPresentChromosome 1 1q lossAbsentPresentTrK - B expressionAbsentPresentTrk-A ExpressionPresentAbsentTelomerase ExpressionLow or absentHighly expressedMRP ExpressionAbsentPresentCD-44 ExpressionPresentAbsentSerum Biochemical Markers * FerritinNormalElevated* Lactate Dehydrogenase< 1500U/mL> 1500 U/mL